Specificity of a test means, all except-
1. Identifies those without disease
2. True positive
3. True negative
4. An ideal screening test should have 100% specificity

Correct answer: 2. True positive

Explanation: Ref: Parks 23rd edition pg 139 Specificity is defined as the ability of a test to identify those who do not have the disease, that is "true negatives". Ideal screening test should have been 100% specificity.